What are the chances of a normally fertile couple having a baby in one month?
1. 80%
2. 25%
3. 605
4. 45%

Correct answer: 2. 25%

Explanation: Somewhere around 25% of couples will be pregnant at the end of the first month of trying.
About 50% will have conceived in 6 months. Between 85 and 90% of couples will have conceived at the end of a year.
Of those that have not conceived, some still will, without any specific help